Fermentation of glycerol is the basis classification of:
1. Neisseria
2. Yersinia
3. Enterbacteriaceae
4. Streptococci

Correct answer: 2. Yersinia

Explanation: Yersinia